While sharpening curettes and sickles, the internal angle
of _________ must be preserved between the face and lateral it
surface
1. 50-60
2. 60-70
3. 70-80
4. 80-90

Correct answer: 3. 70-80